Which is not a branch of cavernous part of internal carotid artery
1. Cavernous branch
2. Inferior hypophyseal
3. Meningeal artery
4. Ophthalmic artery

Correct answer: 4. Ophthalmic artery

Explanation: Ophthalmic artery The internal carotid artery begins at the level of the upper border of the thyroid cartilage as one of the terminal branches of the common carotid arteryIts course is divided into four parts:Parts of ICABranches(A) Cervical partNo branches(B) Petrous part* Caroticotympanic a.* Pterygoid a.(C) Cavernous part* Cavernous branches (to trigerninal ganglionwalls of cavernous and inferior petrosalsinuses and contained nerves) * Sup. Hypophyseal a. * Inf. Hypophyseal a. * Meningeal a.(D) Cerebral part* Ophthalmic a. * Anterior cerebral a. * Middle cerebral a. * Post. communicating a. * Ant. choroidal a.